70 year old man has abdominal pain with mass in abdomen. Angiography reveals aneurysm of aorta. Most likely cause is:
1. Trauma
2. Atherosclerosis
3. Syphilis
4. Congenital

Correct answer: 2. Atherosclerosis

Explanation: Ans. is 'b' Atherosclerosis Most common cause of abdominal aortic aneurysm - Atherosclerosis (90%).Other frequently asked questions about aortic aneurysm.Most common cause of aortic aneurysm (overall) = Atherosclerosis. *Most common cause of ascending aortic aneurysm = Cystic medial necrosis. *Most common cause of descending aortic aneurysm = Atherosclerosis. *Most common cause of aneurysm of aortic arch = Atherosclerosis. *Syphilitic aneurysm affect = Ascending aorta. *Aneurysm of Takayasu arteritis affects = Aortic arch. *